Barth syndrome is due to defect in -
1. Thermogenic
2. Cardiolipin
3. Ubiquinone
4. Cytochrome

Correct answer: 2. Cardiolipin

Explanation: Ans. is 'b' i.e., Cardiolipin Barth syndrome is an X-linked recassive disorder due to mutation in tafazzin gene (TAZ).The mutation leads to abnormal structure or deficiency of cordiolipin, a mitochondrial structural phospholipid.This results in mitochondrial dysfunction